In Serotonin syndrome the most characteristic feature is
1. Sweating
2. Myoclonic jerks
3. Palpitation
4. Anxiety

Correct answer: 2. Myoclonic jerks